Persistant diarrhea is caused by -
1. ETEC
2. EPEC
3. EEC
4. EAEC

Correct answer: 4. EAEC

Explanation: Ans. is 'd' i.e., EAEC